String sign of Kantor seen in?
1. Chrons discose
2. Ulcerative colitis
3. Both
4. None

Correct answer: 1. Chrons discose

Explanation: .Kantor's sign (String sign of Kantor): A radiological sign described in barium enema follow through in patients suffering from Crohn's disease. A string like configuration of contrast material through a filling defect is seen in the radiography. ref:SRB's manual of surgery,ed 3,pg no 1153